Cholecysto-caval line importance:
1. Line that divides the right and left liver surgical anatomy wise
2. Line that divides right liver into anterior and posterior segments
3. Line that divides the left liver into medial and lateral segments
4. Line that runs along the portal vein.

Correct answer: 1. Line that divides the right and left liver surgical anatomy wise

Explanation: Ans. (a) Line that divides the right and left liver surgical anatomy wiseRef: Surgery Sixer 3rd Edition Page 628* Cholecystocaval line also known as Cantie's line is an imaginary line running from gallbladder fossa to left side of IVC.* It is an imaginary line that is drawn by coiunaud for surgically dividing the liver into right and left liver.* Middle hepatic vein runs on this line.